ICF is
1. 14 L
2. 20 % of body weight
3. 28 L
4. 33% of body weight

Correct answer: 3. 28 L

Explanation: In a 70 kg normal manThe intracellular compartment contains on average about 28 litres of fluid.The extracellular compartment contains on average about 14 litres of fluid, of which the interstitial space has approximately 10.5 litres of fluid and intravascular is approximately 3.5 litres.(Ref. Textbook of physiology AK Jain 5th edition page no.24 table 1.3.1)